Post pasteurized milk's quality is tested by -
1. Phosphatase test
2. Methylene blue test
3. Catalase test
4. Oxidase test

Correct answer: 1. Phosphatase test

Explanation: Phosphatase test check tge efficiency of pasteurization. It detects inadequate pasteurization or the addition of raw milkREF.PARK'S TEXTBOOK OF PREVENTIVE AND SOCIAL MEDICINE.Editon-21.Page no.-606.